Most important indicator of Air pollution is:-
1. SO2
2. CO2
3. CO
4. N2O

Correct answer: 1. SO2

Explanation: The best indicators of air pollution are sulfur dioxide, smoke and suspended particles. Various indicators used: Chemical: SO2 , NO2, CO, Air pollution index, Soiling index, Coefficient of haze. Biological: Lichens BEST Overall- SO2